A young office executive, on tour, presents with bright red painless bleed since 7 days and abdominal pain. External and perrectal examinations are normal. As attending general practioner what will be your next step:
1. proctoscopy
2. do a barium enema
3. refer to surgeon for sigmoidoscopy
4. refer to gastroenterologist for colonoscopy

Correct answer: 1. proctoscopy

Explanation: Proctoscopy Hemorrhoids is most likely the cause of fresh, painless bleed in this young patient. (Other causes of fresh lower GI bleed are- fissures, diverticula, ischemic colitis, and arterio-venous malformations). So the next step would be to check for hemorrhoids using a proctoscope, before going for more invasive procedures like sigmoidoscopy or colonoscopy to diagnose other conditions.